During a workup for infertility, a 34-year-old man is noted to have a solid tumor in the anterior aspect of his right testis. What is the most likely diagnosis?
1. Torsion of the testis
2. Cyst of the epididymis
3. Lipoma of the cord
4. Cancer of the testis

Correct answer: 4. Cancer of the testis

Explanation: Non-hematogenous testicular tumors are divided into two categories - germ cell tumors (seminoma, non-seminoma, i.e., embryonal, choriocarcinoma, teratoma, teratocarcinoma, yolk sac tumors) and non-germ cell tumors (Leydig cell or Sertoli cell). There is no mass within the testis with torsion. Epididymitis presents within painful tender testis.